CD3 is a marker for?
1. B - cells
2. T - cells
3. NK- cells
4. Monocytes

Correct answer: 2. T - cells

Explanation: Ans. is 'b' i.e., T - cells o CD-3 is known as Pan T-cell marker.Important cells with their CD marker are:-o Primary T cell Associatedo CD1, CD3, CD4, CD5, CD8o Primary B cell associatedo CD 10, CD19, CD20, CD21, CD23, CD79ao Primary monocyte or macrophage associatedo CD11c, CD13, CD14, CD15, CD33, CD64o Primary NK cell associatedo CD 16, CD56o Primary stem cell and progenitor cell associatedo CD34o Activation markerso CD30o Present on all leukocyteso CD45Important facts about CD markerso The most clear cut differentiation between T and B cells is by their surface markers, for example, by Demonstration of CD3 of T cells and Ig on B cells.o CD-95 is a death receptor, member of TNF receptor family. It is involved in apoptosis.